Use of ergotamine is contraindicated in -
1. DM
2. Aemia
3. Ischemic heart disease
4. Postpartum haemorrhage

Correct answer: 3. Ischemic heart disease

Explanation: Ans. is 'c' i.e., Ischaemic heart disease o Ergot alkaloids can cause coronary and other vascular spasm because of a- agonistic activity - contraindicated in ischemic heart disease, peripheral vascular disease and hypertension. o Other contraindications --> pregnancy, sepsis, liver & kidney disease.